Modified wells criteria is used for initial assessment of patients with suspected
1. Pulmonary embolism
2. Pleural Effusion
3. Cardiac tamponade
4. Myocardial infarction

Correct answer: 1. Pulmonary embolism

Explanation: Answer- A. Pulmonary embolism